The complications of gallstones include all of the following except:
1. Adenocarcinoma of ampulla of Vater
2. Acute intrahepatic cholangitis
3. Acute pancreatitis
4. Gangrenous cholecystitis

Correct answer: 1. Adenocarcinoma of ampulla of Vater

Explanation: Ans (a) Adenocarcinoma of ampulla of VaterThe complications of gallstones include gangrenous cholecystitis by pressure on the mucosa and blood vessels in an acutely inflamed gallbladder* Cholangitis by blocking the major biliary ducts and allowing bacteria to ascend into the liver* Obstructive jaundice by blocking the common duct* Acute pancreatitis by blocking the ampulla of Vater or a major pancreatic duct* Gallstone ileus.